Hepatitis B surface antigen in a patient's serum indicates
that the patient is:
1. Recovered
2. Potentially infectious
3. Now an acceptable blood donor
4. Immune to subsequent exacerbations of the disease

Correct answer: 2. Potentially infectious